The best suited anticoagulant for osmotic fragility test is -
1. Heparin
2. EDTA
3. Trisodium citrate
4. Potassium oxalate

Correct answer: 1. Heparin